80 year old, asymptomatic man present with a Total Leucocyte Count of 100,000, with 80% lymphocytes and 20% PMC's. What is the most probable diagnosis?
1. HIV
2. CML
3. CLL
4. TB

Correct answer: 3. CLL

Explanation: An elderly asymptomatic patient presenting with an incidental finding of absolute lymphocytosis suggests the possible diagnosis of Chronic Lymphoid Leukemia (CLL). Ref: Harrison's Principles of Internal Medicine, 17th Edition, Page 693; 16th Edition, Page 648; Davidson's Principles and Practice of Medicine, 20th Edition, Page 1046